Which statement about inferior rectus is NOT true?
1. Actions are depression, adduction and extorsion
2. It's yoke muscle is superior oblique
3. It is rarely involved in thyroid myopathy
4. It is connected to the lower lid by lockwood's ligament

Correct answer: 3. It is rarely involved in thyroid myopathy

Explanation: Rectus muscle involvement in thyroid ophthalmopathy is well documented. The inferior rectus is the most frequently involved, followed by the medial, superior, and infrequently the lateral rectus. Lockwood ligament, the transverse fascial structure that supports the eyeball, stabilizes it, providing the framework for inferior rectus and oblique muscles of the eye. Rest all the statements are true. pair of yoke muscles (1 in each eye ) IR(R)+SO (L)